What percent of giant cell tumor of bone are malignant ?
1. 5 - 10%
2. 15 - 20%
3. 25 - 30%
4. 50 - 60%

Correct answer: 1. 5 - 10%